APBDJ is associated with
1. Cholangiocarcinoma
2. CA GB
3. Choledochal cyst
4. All of the above

Correct answer: 4. All of the above

Explanation: Anomalous pancreaticobiliary duct junction (APBDJ). An Anomalous pancreaticobiliary Union is considered to be present when the common channel is longer than 15mm Three types of APBDJ Bo type or type 2: Insertion of the bile duct is in the pancreatic duct Pb type or Type 1: Pancreatic duct appears to join the common bile duct Y-type :Long common channel Choledochal cyst is the MC associated abnormality APBDJ is seen gallbladder cancer, gallbladder Adenomyomatosis, cholangiocarcinoma and pancreatitis Ref: Sabiston 20th edition. Pgno : 1514